Millennium developmental goal for HIV/AIDS -
1. 6
2. 3
3. 8
4. 1

Correct answer: 1. 6

Explanation: Governments have set a date of 2015 by which they would meet the MDGs I.e, eradicate extreme poverty and hunger;achieve universal primary education;promotes gender equality;improve maternal health, combat HIV /AIDS,malaria and other diseases,ensure environmental sustainability and develop a global partnership for development (refer pgno:893 park 23rd edition)